Normal metacarpal index is:
1. Less than 5.4
2. 5.4 to 7.9
3. 8.4 to 10.4
4. More than 10.4

Correct answer: 2. 5.4 to 7.9

Explanation: Ans. 5.4 to 7.9